Which of the following is not true about keloid ?
1. 10-30 year age group is more involved
2. Outgrows wound area
3. Females ate more effected than males
4. Involves flexor surfaces

Correct answer: 4. Involves flexor surfaces